The major risk factor along with alcohol intake for the development of alcoholic liver disease among the following is:
1. Chronic HCV infection
2. Chronic HBV infection
3. Non hepatotropic virus infection
4. Abdominal tuberculosis

Correct answer: 1. Chronic HCV infection

Explanation: Chronic hepatitis C (HCV) is an important comorbidity in the progression of alcoholic liver disease to cirrhosis. They develop decompensated liver disease at a younger age and have poorer overall survival. Other features: 1. Increased liver iron stores 2. Porphyria cutanea tarda It also decreases the efficacy of interferon-based antiviral therapy. Ref: Harrison, E-18, P-2589.